The biochemical mechanism of action of digitalis is associated with:
1. An increase in conduction from atrium to ventricle
2. An increase in ATP synthesis
3. An increase in systolic intracellular calcium levels
4. A block of calcium channels

Correct answer: 3. An increase in systolic intracellular calcium levels

Explanation: Digoxin is a cardiac glycoside. It directly inhibits Na-K ATPase and increases intracellular Na and decrease the extrusion of calcium. Thus increases intracellular Calcium. By increasing the calcium content and sodium content, force of contraction increases. (Ref-Essential of medical pharmacology K D TRIPATHI 6 Edition)